Which of the following is the mechanism of action of Fondaparinux
1. Factor Xa inhibition and Thrombin inhibition
2. Factor Xa inhibition
3. Antithrombin inhibitor
4. Thrombin inhibition

Correct answer: 2. Factor Xa inhibition

Explanation: The antithrombotic activity of fondaparinux sodium is the result of antithrombin III (ATIII) mediated selective inhibition of Factor Xa. ref - Harrisons internal medicine 20e pg851